Best time to see a 3-year-old child in the dental office
1. Early in the morning
2. Just before lunch
3. Just after Lunch
4. Any time

Correct answer: 1. Early in the morning